Which of the following reflexes are present at birth?
1. Moro's reflex
2. Palmar grasp
3. Assymetric tonic neck
4. All of above

Correct answer: 4. All of above

Explanation: NEONATAL PERIOD (1ST 4 WK)Prone: Lies in flexed attitude; turns head from side to side; head sags on ventral suspensionSupine: Generally flexed and a little stiffVisual: May fixate face on light in line of vision; "doll's-eye" movement of eyes on turning of the bodyReflex: Moro response active; stepping and placing reflexes; grasp reflex activeSocial: Visual preference for human faceThe disappearance of the asymmetric tonic neck at 2-6months reflex means that infants can begin to examine objects in the midline and manipulatethem with both handsRef: Nelson Textbook of Paediatrics; 20th edition; Chapter 10; The first year